All are true about retinitis pigmentosa EXCEPT –
1. Genetic inheritance (X–linked)
2. Early diagnosis and treatment
3. Visual acuity not diminished till late in course
4. Associated with systemic abnormalities

Correct answer: 2. Early diagnosis and treatment

Explanation: Treatment is eminently unsatisfactory since nothing appears to have a decided influence upon the course of the disease.
Retinitis pigmentosa shows all three pattern of inheritance, i.e., autosomal recessive (most common), autosomal dominant, sex- linked (X- linked recessive).
Initially there is loss of peripheral vision and central vision is preserved till late.
Retinitis pigmentosa is assoicated with many systemic syndromes.